Procedure of glucose tolerance test is:
1. Glucose load in fed state, measurement of blood glucose after 2 hours
2. Glucose load in fasting state, measurement of blood glucose after 2 hours
3. Glucose load in fasting state, measurement of urinary glucose after 2 hours
4. Glucose load in fed state, measurement of urinary glucose after 2 hours

Correct answer: 2. Glucose load in fasting state, measurement of blood glucose after 2 hours

Explanation: Ans. B: Glucose load in fasting state, measurement of blood glucose after 2 hoursIn diabetes, glucose piles up in the bloodstream, especially after meals. If a glucose load is given to a diabetic, the plasma glucose rises higher and returns to the baseline more slowly than it does in normal individuals. The response to a standard oral test dose of glucose, the oral glucose tolerance test, is used in the clinical diagnosis of diabetesImpaired glucose tolerance in diabetes is due in part to reduced entry of glucose into cells (decreased peripheral utilization). In the absence of insulin, the entry of glucose into skeletal, cardiac, and smooth muscle and other tissues is decreased. Glucose uptake by the liver is also reduced, but the effect is indirect.Intestinal absorption of glucose is unaffected, as is its reabsorption from the urine by the cells of the proximal tubules of the kidneys. Glucose uptake by most of the brain and the red blood cells is also normal.